Which glycogen storage disease doesn't affect muscles ?
1. Type 1
2. Type 2
3. Type 3
4. Type 4

Correct answer: 1. Type 1

Explanation: Liver glycogenosis     --->      Type I, Type Ma, Mb, IV, VI, IX.
Muscle glycogenosis       --->        Type II, V, VII.
In Ma & IV muscle weakness and hypotonia are also seen